On external examination the classical presentation of the body of traumatic asphyxia is -
1. Facial abrasions
2. Contused chest
3. Masque ecchymotique
4. Depressed chest

Correct answer: 3. Masque ecchymotique

Explanation: Postmortem finding in traumatic asphyxia External findings: Masque ecchymotique: it refers to classical description in traumatic asphyxia. Florida red or blue congestion of face and neck. There will be congestion of face due to efflux of blood. There may be petechial hemorrhages into the skin of face and neck, eye lids, conjunctiva and mucous membrane of mouth. Deep cyanosis of the face. There may be bleeding from the nostrils and ears Demarcation line: there will be congestion above the level of compression and pallor below the level of compression and form a line of demarcation. This is because of efflux of blood to the pressure exerted on the chest. Pallor: both lower limbs, abdomen and lower part of chest will be pale ref: FORENSIC MEDICINE AND TOXICOLOGY Dr PC IGNATIUS THIRD EDITION PAGE NO 259